The primary action of the neurotransmitter Nitric oxide (NO) in the gastrointestinal tract is:
1. Vasodilatation
2. Vasoconstriction
3. Gastrointestinal smooth muscle relaxation
4. Gastrointestinal slow smooth muscle contraction

Correct answer: 3. Gastrointestinal smooth muscle relaxation

Explanation: Nitric oxide (NO) is an inhibitory neurotransmitter of enteric motor neurons that mediates Gastrointestinal smooth muscle relaxation. Unlike most neurotransmitters and hormones, NO does not act a membrane bound receptor. Instead NO readily diffuses into adjacent target cells to directly activate guanylcyclase and mediate smooth muscle relaxation. Ref: Review of Medical Physiology by William ganong, 22nd edn/page 598-9